Sporicidal disinfectant is following except-
1. Glutaraldehyde
2. Formaldehyde
3. Ethylene oxide
4. Benzalkonium chloride

Correct answer: 4. Benzalkonium chloride

Explanation: ALDEHYDES Formaldehyde is active against the amino group in the protein molecule. In aqueous solutions, it is markedly bactericidal and sporicidal and also has a lethal effect on viruses. it is used to preserve anatomical specimens and for destroying anthrax spores in hair and wool 10% formalin containing 0.5% sodium tetraborate is used to sterilize clean metal instruments. Formaldehyde gas is used for sterilizing instruments and heat sensitive catheters and for fumigating wards sick rooms and laboratories. under properly controlled conditions, clothing, bedding, furniture, and books can be satisfactorily disinfected. the gas is irritant and toxic when inhaled. surfaces which have been disinfected by this agent may give off an irritant vapor for some time after disinfection. this can be nullified by exposure to ammonia vapor after disinfection has been completed Glutaraldehyde: This has an action similar to that of formaldehyde. it is especially effective against the tubercle bacilli. fungi and viruses. it is less toxic and irritant to the eyes and skin than formaldehyde. it has no deleterious effect on the cement or lenses of instrument s such as cystoscopes and bronchoscopes. it can be safely used to treat corrugated rubber anesthetic tubes and face masks, plastic endotracheal tubes metal instruments and polythene tubing ETHYLENE DIOXIDE: its action is due to alkylating the amino, carboxyl, hydroxyl and sulphydryl groups in protein molecules. In addition, it reacts with DNA and RNA. It is used as a disinfectant presents potential toxicity to human beings, including mutagenicity and carccarcinogenicity is effective against all types of microorganisms including viruses and spores SURFACE ACTIVE AGENTS Substances that alter the energy relationship at interference producing a reduction of surface or interfacial tension are referred to as surface active agents.they are widely used as wetting agents detergents and emulsifiers. They are classified as anionic, cationic, nonionic and amphoteric.the most important antibacterial agents are cationic surface active agents. They act on the phosphate group of the cell membrane and also enter the cell. The membrane loses its semi permeability and the cell proteins are denatured. the cationic compound in the forms of quarternary ammonium compound is markedly bactericidal have no action on spores, tubercle bacilli, and most viruses. The common compounds are acetyl trimethylammonium bromide and benzalkonium chloride. Ref: Ananthanarayan & panickers textbook of microbiology 8th edition page no 36-37